Commonest cause of acute intestinal obstruction is ?
1. Adhesions
2. Volvulus
3. Inguinal hernias
4. Internal hernias

Correct answer: 1. Adhesions

Explanation: Ans. is 'a' i.e., Adhesion